Which type of gout is seen in a patient who is on treatment of CML?
1. Secondary gout
2. Pseudogout
3. Acute gout
4. Primary gout

Correct answer: 1. Secondary gout

Explanation: Secondary gout is related to medications or conditions that cause hyperuricemia, such as the Myeloproliferative diseases or their treatment. Causes of secondary gout: Lymphoproliferative/myeloproliferative disorders Chronic hemolytic anemias Secondary polycythemia Severe exfoliative psoriasis Gaucher's disease Cytotoxic drug High purine diet